A 24 year old female with multiple sex partners presented with vaginal discharge which is thin and white with fishy odor. Whiff test is positive which indicates the infection with which of the following organism?
1. TORCH
2. HIV
3. Bacterial vaginosis
4. Birth anoxia

Correct answer: 3. Bacterial vaginosis

Explanation: Whiff test is positive for bacterial vaginosis. It involves the production of a fishy odor when mixing vaginal fluid with 10% potassium hydroxide. Amstel criteria for diagnosing BV: Three of the following four must be present. Thin, homogenous vaginal discharge A positive whiff test Vaginal fluid pH greater than 4.5 Presence of clue cells (epithelial cells covered with bacteria) on microscopic examination Ref: Rosen T. (2012). Chapter 205. Gonorrhea, Mycoplasma, and Vaginosis. In L.A. Goldsmith, S.I. Katz, B.A. Gilchrest, A.S. Paller, D.J. Leffell, N.A. Dallas (Eds), Fitzpatrick's Dermatology in General Medicine, 8e.